Which of the following is true regarding early deceleration in a CTG (cardiotocography)?
1. It is due to increased vagal tone in the foetus
2. It is due to foetal hypoxia
3. It is due to raised BP in the mother
4. It is due to cord compression

Correct answer: 1. It is due to increased vagal tone in the foetus

Explanation: Early deceleration coincides with the uterine contraction and is a result of increase in vagal tone since the foetal intracranial pressure rises with uterine contraction. Ref: Oxford Handbook of Clinical Specialities, 8th Editio, Page 45.